All of the following drug have been used for medical abortion except:
1. Mifepristone
2. Misoprostal
3. Methotrexate
4. Atosiban

Correct answer: 4. Atosiban

Explanation: Ans. is 'd' Atosiban Drugs used for abortionProstaglandinsPGE1 analogues are usedMisoprostolGemaristMifepristone (Ru-486)It is a progesterone antagonist. It is effective upto 9 weeksMethotrexateEffective upto 9 weeksAtosiban - is an oxytocin analogue and used as tocolytic.